Fibrinoid necrosis is seen in following except -
1. PAN
2. Diabetes mellitus
3. Malignant hypertension
4. SLE

Correct answer: 2. Diabetes mellitus

Explanation: Fibrinoid necrosis

Fibrinoid necrosis is a special form of necrosis typically occurs when complexes of antigen and antibodies are deposited in the walls of arteries. Deposits of these "immune complexes", together with fibrin that has leaked out of vessels, result in a bright pink and amorphous appearance in H & E stains, called "fibrinoid" (fibrin-like) by pathologists.
Diseases causing fibrinoid necrosis are malignant hypertension (most common), PAN, SLE, SABE, acute rheumatic fever (Aschoff nodule), RA, HSP, HBV, near peptic ulcer and malignancy.

Note: In fibrinoid necrosis, there is no deposition of fibrin. It is fibrin-like matter, which is deposited